All of the following are hormonal agents used against breast cancer except -
1. Latrazole
2. Exemestane
3. Taxol
4. Tamoxifen

Correct answer: 3. Taxol

Explanation: Ans. is 'c' i.e., Taxol